What is the clinical diagnosis when a pregnant woman presents with bloody vaginal discharge through a closed cervical os during the first 20 weeks?
1. Threatened abortion
2. Complete abortion
3. Incomplete abortion
4. Preterm labor

Correct answer: 1. Threatened abortion

Explanation: The clinical diagnosis of threatened abortion is presumed when bloody vaginal discharge or bleeding appears through a closed cervical os during the first 20 weeks (Ref: William's Obstetrics; 25th edition)